A 27-year-old male had burning micturition and urethral discharge. After 4 weeks he developed joint pains involving both the knees and ankles, redness of the eye and skin lesion. The most probable clinical diagnosis is
1. Psoriasis vulgaris
2. Reiter's syndrome
3. Behcet's syndrome
4. Sarcoidosis

Correct answer: 2. Reiter's syndrome

Explanation: Occurence of Arthritis and conjunctivitis following urinary tract infection suggests the diagnosis of Reiter's syndrome.